Fatty acid oxidations produce:
1. Acetyl CoA
2. Succinyl CoA
3. Propionyl CoA
4. All of the above

Correct answer: 4. All of the above

Explanation: Fatty acids with an odd number of carbon atoms are oxidized by the pathway of b-oxidation, producing acetyl-CoA, until a three-carbon (propionyl-CoA) residue remains. This compound is converted to succinyl-CoA, a constituent of the citric acid cycle. Ref: Harper 28th edition, chapter 22.